Best Investigation to assess tubal patency:
1. Rubin's test
2. HSG
3. Laparotomy
4. Laparoscopic chromtubation

Correct answer: 4. Laparoscopic chromtubation